Thimble bladder is seen in all except
1. TB
2. BPH
3. Malignancy
4. Schitosomiasis

Correct answer: 2. BPH

Explanation: Thimble bladder or systolic bladder is inability of the bladder to relax and distend and so inability to retain the urine as required. Causes include Tuberculous cystitis, Schistosoma haematobium, Interstitial cystitis, Radiotherapy, Malignancy, Previous bladder surgery. Bladder is fibrotic and contracted, with difficulty in dilating and accommodating urine as needed. Bladder capacity is less than 100 ml (60 ml). Reference : page 1033 SRB's manual of surgery 5th edition